What is the best indicator to evaluate obstetric and neonatal care given at around the time of birth?
1. IMR
2. Perinatal mortality rate
3. U5MR
4. Still birth rate

Correct answer: 2. Perinatal mortality rate

Explanation: Perinatal Mortality Rate is a 'yardstick' of obstetric and pediatric care before and around the time of birth. PNMR includes time b/w 28weeks POG to 7days post-delivery. PNMR = x 1000.(formula as per WHO) MCC of perinatal deaths - Lowbirth weight & prematurity.